Heart failure cells are seen in
1. Kidney
2. Heart
3. Lungs
4. Brain

Correct answer: 3. Lungs

Explanation: Ans. (c) Lungs(Ref: Robbins 9th/pg 529; 8th/pg 535)Morphology in Lungs in LVFLungs: Most commonly affected organHeart failure cells Q-hemosiderin containing macrophages.Edematous widening of alveolar septa and -Edema fluid in the alveolar spaces.